Which of the following is anaerobic non - acid fast bacilli:
1. Tuberculosis
2. Listeria
3. Nocardia
4. Actinomyces

Correct answer: 4. Actinomyces

Explanation: Actinomyces is an obligate anaerobe & Non acid fast Tuberculosis- it is Gram positive acid fast 20% (depends on mycolic acid content) Listeria-it is Gram positive coccobacilli Nocardia -it is Obligate aerobe , acid fast (1%)